Drug of choice in Zollinger Ellison syndrome is -
1. Ranitidine
2. Omeprazole
3. Antacids
4. β-blocker

Correct answer: 2. Omeprazole